Head gear causes
1. Bucco lingual movement of maxillary molars
2. Mesio distal movement of maxillary molars
3. Intrusion of molars
4. All of the above

Correct answer: 4. All of the above

Explanation: Headgears are the most commonly used oral orthopedic appliances.
They are indicated in patients with excessive horizontal growth of maxilla. They are used to distalize the maxillary dentition along with maxilla.